Absolute refractory period is due to:
1. Opening of calcium channels
2. Opening of potassium channals
3. Closure of Active gates of sodium channals
4. Closure of inactive gates of sodium channals

Correct answer: 4. Closure of inactive gates of sodium channals

Explanation: Inactivated gates of sodium are closed during depolarization and Remain closed until repolarization no action potential can occure untill inactivated sodium gate are opened Ref:Guyton and Hall textbook of medical physiology 12th edition,page number:70